Which of the following statement (s) is/are true about dengue fever -a) ↑ Hematocritb) ↓Plateletc) Positive tourniquet testd) Vector (Aedes aegypticus) usually bites in day time
1. abc
2. acd
3. bcd
4. All of the above

Correct answer: 4. All of the above